If the use of a technique on a child is objectionable
enough that the child will cooperate in order to avoid it,
that technique will come under
1. Pharmacological Domain
2. Physical Domain
3. Aversive Domain
4. Reward-oriented Domain

Correct answer: 3. Aversive Domain